Number of ATP formed by oxidation of one molecule of palmitic acid (16c):
1. 146
2. 106
3. 135
4. 34

Correct answer: 2. 106

Explanation: Ans. B. 106(Ref: Harper 31/e page 209, 210)Energetics of Beta OxidationThe number of ATPs obtained depends on the number of carbon atoms in the fatty acid.From Beta oxidation of palmitic acid (C-16)First calculate how many cycles of beta oxidation where n = number of carbon atomsIn case of palmitic acid, 7 cycles of beta oxidationFrom one cycle of beta oxidation1FADH2 =1.5ATPs1NADH=2.5ATPsTotal=4ATPsFrom 7 cycles of beta oxidation7x number of ATPs from 1 cycle7x4=28ATPsIn case of palmitic acid (16/2)=8Acetyl-CoAFrom one Acetyl-CoA by TCA cycle 10 ATPsFrom 8 Acetyl-CoA8x10=80ATPsTotal ATPs from palmitic acid =28+80=1082 ATPs utilised for initial activation of fatty acidSo net ATPs from palmitic acid =108-2=106ATPs